Colonoscopy is are not indicated in -
1. MEN 2B
2. FAP
3. HNPCC
4. Cornkite Canada syndrome

Correct answer: 1. MEN 2B

Explanation: Ans. is 'a' i.e., MEN 2B * MEN 2B does not predispose to colon cancer.* FAP, HNPCC, Cronkite Canada Syndrome predispose to Colon Cancer and hence screening with colonoscopy is needed.